Thiamine deficiency is best diagnosed the -
1. Thiamine level in blood
2. The transketolase level in the blood
3. Aldolase level in the blood
4. Thiamine level in urine

Correct answer: 2. The transketolase level in the blood

Explanation: Ans. is 'b' i.e., Transketolase level in blood THIAMINE (VITAMIN B1)o Thiamine is also called aneurine. Thiamine has a central role in energy-yielding metabolism and especially the metabolism of carbohydrates. The active form of thiamine is thiamine pyrophosphate (TTP) also called thiamine diphosphate (TDP).o Thiamine diphosphate (TDP) or TPP is the coenzyme for three multienzyme complexes that catalyze oxidative decarboxylation :Pyruvate dehydrogenase in carbohydrate metabolism, which catalyzes the conversion of pyruvate to acetyl CoA.a-Ketoglutarate dehydrogenase in the citric acid cycle, which catalyzes the conversion of a-ketoglutarate to succinyl CoA.Branched-chain keto acid dehy drogenase which catalyzes the oxidative decarboxylation of branched chain keto amino acids, i.e. leucine, isoleucine and valine.o Thiamine diphosphate is also the coenzume for transketolase, in the pentose phosphate pathway. There- fore, thiamine nutritional status is best assessed by erythrocyte (preferred) or whole blood transketolase activity.o Deficiency of thiamine causes :BeriberiWernicke's encephalopathy, with korsakoff psychosisLactic acidosis